Bright light therapy is used for?
1. Seasonal affective disorder
2. Schizophrenia
3. Adjustment disorder
4. Anxiety

Correct answer: 1. Seasonal affective disorder

Explanation: Ans. (a) Seasonal affective disorderRef: Principles and Practice of Psychopharmacotherapy by Philip G. Janicaky Stephen R. Marder, Mani N. Pavuluri p.244